Which of the following can be used safely in renal failure?
1. Ciprofloxacin
2. Ofloxacin
3. Lomefloxacin
4. Pefloxacin

Correct answer: 4. Pefloxacin

Explanation: Pefloxacin It is the methyl derivative of norfloxacin; more lipid soluble, completely absorbed orally, penetrates tissues better and attains higher plasma concentrations. Passage into CSF is higher than other FQs-preferred for meningeal infections. It is highly metabolized-paly to norfloxacin which contributes to its activity. Pefloxacin has longer tYz: cumulates on repeated dosing achieving plasma concentrations twice as high as after a single dose. Because of this it is effective in many systemic infections in addition to those of the urinary and g.i. tract, though the in vitro activity is similar to norfloxacin. Dose of pefloxacin needs to be reduced in liver disease, but not in renal insufficiency. Pefloxacin is an alternative to ciprofloxacin for typhoid. However, it is less effective in grampositive coccal and Listeria infections. ESSENTIALS OF MEDICAL PHARMACOLOGY K.D.TRIPATHI SIXTH EDITION PAGE NO:691